Which of the following is ovoviviparous?
1. Strongyloides
2. Trichinella
3. Enterobius
4. Ascaris

Correct answer: 1. Strongyloides

Explanation: Nematodes that lay eggs from which larvae immediately hatch out. So birth of larvae instead of eggs are called viviparous. Strongyloides stercoralis is ovoviviparous.